Montenegro test is done for
1. Hydatid disease
2. TAENIASIS
3. Filariasis
4. kala-azar

Correct answer: 4. kala-azar

Explanation: This test is based on skin reaction . Leishmanin is a preparation of 106 per ml washed promastigotes of leishmania, suspended in 0.5 per cent phenol saline or mehiolate. Ref: page No:334; park 25th Edition